Nerve damaged in radical mastoidectomy is -
1. Facial
2. Cochlear
3. Vestibular
4. All

Correct answer: 1. Facial

Explanation: Complications of radical mastoidectomy

Injury to facial nerve
Dislocation of incus
Injury to horizontal semicircular canal. The patient will have post-operative giddiness and nystagmus.
Injury to sigmoid sinus with profuse bleeding.
Injury to the dura of middle cranial fossa.